Sensitive and specific marker for MI
1. CK-MB
2. Troponin
3. Myoglobulin
4. LDH

Correct answer: 2. Troponin

Explanation: Cardiac troponin I or T, which are specific, sensitive, and the preferred markers of myocardial necrosis. The MB isoform of creatine kinase (CK-MB) is a less sensitive alternative.Ref: Harrison 19e pg: 1594